The likehood of becoming an HbsAg carrier after acute HBV infection is high in-
1. Neonates
2. Chronic hemodialysis patients
3. Persons with HIV infection
4. All of the above

Correct answer: 4. All of the above